Which of the following is an autosomal dominant metabolic disorder-
1. Cystic fibrosis
2. Phenylketonuria
3. Alpha-I anti-trypsin deficiency
4. Familial hypercholesterolemia

Correct answer: 4. Familial hypercholesterolemia

Explanation: Ans. is 'd' i.e., Familial hypercholesterolemia